Suspended animation occurs after
1. Lead poisoning
2. Cyanide poisoning
3. Burns
4. Drowning

Correct answer: 4. Drowning

Explanation: Suspended animation -in this condition sign of life are not found but life can be continued on the successful resuscitation Suspended animation occurs in: New born Barbiturates / opioids overdose After anaesthesia Insanity Cerebral concussion Heat stroke Electrocution Cholera Drowning Deep shock